Surgery of choice for congenital cataract -
1. ECCE
2. ICCE
3. Needling
4. Discission

Correct answer: 1. ECCE

Explanation: Presently, extracapsular cataract extraction (ECCE) technique is the surgery of choice for almost all types of adulthood as well as childhood cataracts unless contraindicated.